Beta blockers are used in hyperthyroidism:
1. As short term symptomatic therapy till effect of carbimazole develops
2. As long term therapy after subtotal thyroidectomy
3. In patient not responding to carbimazole
4. To potentiate the effect of radioactive iodine

Correct answer: 1. As short term symptomatic therapy till effect of carbimazole develops

Explanation: -Major symptoms in a patient of hyperthyroidism are sympathetic in nature. -Beta blockers are used to treat these symptoms.